All can cause recurrent pulmonary infection cxcept-
1. VSD
2. Recurrent>LW
3. TOF
4. ASD

Correct answer: 3. TOF

Explanation: Tetralogy of Fallot (TOF) is a cardiac anomaly that refers to a combination of four related heart defects that commonly occur together. The four defects are: Ventricular septal defect (VSD).it donor cause reccurent pulmonary Infections Ref Davidson 23rd edition pg 433